A 25 years old female complains of recurrent rhinitis, nasal discharge and bilateral nasal blockage since one year. She has the history of asthma and allergy. On examination, multiple ethmoidal polyps are noted with mucosal thickening and impacted secretions in both the nasal cavities. A biopsy is taken and the material is cultured which shown the growth of many non pigmented septate hyphae with dichotomous branching typically at 45degrees. Which of the following is the most likely responsible organism
1. Aspergillus fumigatus
2. Rhizopus
3. Mucor
4. Candida

Correct answer: 1. Aspergillus fumigatus

Explanation: Aspergillus shows typical dichotomous branching at an angle of approximately 45degrees. Candida shows pseudohyphae. Rhizopus and mucor shows nonseptate hyphae. Reference: Textbook of Microbiology; Baveja; 4th edition